The gastroduodenal artery is derived from
1. Celiac artery
2. Hepatic artery
3. Splenic artery
4. Cystic artery

Correct answer: 2. Hepatic artery

Explanation: The gastroduodenal artery is the branch of the common hepatic artery. It passes inferiorly behind the 1st part of the duodenum and bifurcates into right gastroepiploic artery and superior pancreaticoduodenal artery. Gastroduodenal artery provides blood to the distal part of the stomach, the duodenum proximal portion and to pancreatic head indirectly through the posterior and anterior and superior pancreaticoduodenal artery. Ref -BDC vol2 6e pg 277